Most common metastatic orbital tumour in children
1. Neuroblastoma
2. Carcinoma lung
3. Ewing's sarcoma
4. Ovarian sarcoma

Correct answer: 1. Neuroblastoma

Explanation: Metastatic orbital tumours in children neuroblastoma, nephroblastoma, Ewing's, testicular embryonal sarcoma and Ovarian sarcoma.